For exhumation permission should be taken from
1. Sub divisional magistrate
2. Executive magistrate
3. Special magistrate
4. Juvenile magistrate

Correct answer: 2. Executive magistrate

Explanation: Ans. is 'b' i.e., Executive magistrate * Exumation is lawful digging out of a burried body from the grave for the purpose of identification or determination of cause of death. Only a magistrate (executive magistrate) can order for exhumation.* In india, there is no time limit for exhumation, i.e. can be done at any time after death.* It is done under supervision of medical officer and Magistrate in presence of a police officer who provides witnesses to identify grave, coffin and dead body, whenever possible, Magistrate should inform the relatives and allow them not to remain present at the time of enquiry.* The whole procedure should be conducted and completed in natural day light. Therefore, it is usually started early in morning.